For approximate how much time the 4% buffered glutaraldehyde is applied over the pulp stump during pulpotomy?
1. 10 Sec.
2. 60 Sec.
3. 2 min
4. 4 min

Correct answer: 4. 4 min